Foamy liver is found in
1. Drowning
2. Putrefaction
3. Adipocere
4. Abortion

Correct answer: 2. Putrefaction

Explanation: (Putrefaction) (3.25-P)PUTREFACTION - Liver becomes softened and flaby* Owing to the evolution of gases in its substances. It becomes spongy and present a honey- combed appearance (foamy or Swiss Cheese liver)* The patch of greenish discolouration appears early and gradually extends to the whole organ which ultimately becomes black.